Commonest variety of acute inflammation is ?
1. Purulent inflammation
2. Serous inflammation
3. Catarrhal inflammation
4. Necrotic inflammation

Correct answer: 3. Catarrhal inflammation

Explanation: Ans. is 'c' i.e., Catarrhal inflammation o While the basic process of acute inflammation is same in all tissues, there are frequently qualitative differences in the inflammatory response seen under different circumstances. 1. Catarrhal inflammation o An inflammatory process that occurs in mucous membrane and is characterized by increased blood flow to the mucosal vessels, edema of interstitial tissue, enlargment of the secretory gland epithelial cells, and profuse discharge of mucus and epithelial debris. o It is very common, and mostly occurs in mucosal membrane of nose, pharynx and ear after upper respiratory tract infection or irritation. o It can also occur in other mucosal surfaces, e.g., GIT. 2. Serous inflammation o Marked by outpouring of a thin, serous fluid that is derived either from plasma or the secretion of mesothelial cell lining the peritoneal, pleural or pericardial cavity. The most common example is blister resulting from burn. Fibrinous inflammation o It occurs due to more severe injury when there is increased vascular permeability and larger molecules such as fibrinogen pass the vascular barrier, and fibrin is formed and deposited in the extracellular space. o It is seen in cavities, e.g., meninges, pericardium and pleura. Suppurative or Purulent inflammation It is characterized by the production of large amount ofpus (neutrophils + necrotic cells & debris + edema fluid). It is typically seen after infection with pyogenic bacteria e.g., staphylococci. A common example of an acute suppurative inflammation is acute appendicitis. Abscess is localized collection of purulent inflammatory tissue. 5. Ulcer (Ulcerative inflammation) An ulcer is a local defect, or excavation, of the surface of an organ or tissue that is produced by the sloughing (shedding) of inflammatory necrotic tissue. Ulceration occurs when tissue necrosis and resultant inflammation exist on or near a surface. It is seen in --> Inflammatory necrosis of mucosa of mouth, stomach, duodenum or genitourinary tract, and Subcutaneous inflammation of lower extremities in older persons who have circulatory disturbances that predispose to extensive necrosis.